Abdominal Aorta Bifurcates at the level of
1. Body of L3
2. Lower border of L3
3. Lower border of L4
4. Body of L4

Correct answer: 3. Lower border of L4

Explanation: Abdominal Aorta Bifurcates at the Lower border of L4